The current treatment of choice for a large antrochoanal polyp in a 30 year old man is -
1. Intranasal polypectomy
2. Caldwell luc operation
3. F.E.S.S. (Endoscopic Sinus Surgery)
4. Lateral Rhinotomy and excision

Correct answer: 3. F.E.S.S. (Endoscopic Sinus Surgery)

Explanation: FESS is the treatment of choice for all polyps, whenever available and has superceded other methods of polyp removal.